Egg in cup appearance is seen in -
1. TOF
2. MR
3. Constrictive pericarditis
4. Transposition of great vessels

Correct answer: 3. Constrictive pericarditis

Explanation: Egg in cup apperance is seen in constrictive pericarditis. Egg on side appearance is seen in TGA.